Hunters syndrome due to deficiency of -
1. Iduronate sulfatase
2. Hexosaminidase
3. Glucocerebrosidase
4. a-L Iduronidase

Correct answer: 1. Iduronate sulfatase

Explanation: Ans. is 'a' i.e., Iduronate sulfatase (Ghai 7th/ep. 639) o Iduronate sulfate sulfatase def. - Hunter syndrome o Hexosaminidase dediciencv seen in Tay-sachs disease o Glucocerebrosidase def. - Gaucher disease